For endometriotic cyst all are true EXCEPT?
1. Homogeneous Ground glass appearance
2. Laparoscopy is indicated
3. CA 125 is a specific test
4. Associated with dysmenorrhoea

Correct answer: 3. CA 125 is a specific test

Explanation: Endometrial cyst/ Chocolate cyst Represent the most important manifestation of endometriosis Epithelium is columnar. Beneath the epithelium, a zone of tissue containing large cells with brown cytoplasm, polyhedral in shape and resembling lutein cells is seen. Homogeneous Ground glass on TVS Investigation: Laproscopy diagnostic and therapeutic Levels of CA125 may be increased (not specific test: also increases in ovarian malignancies, tuberculosis, liver disease etc) CA 125 is a good follow up tool after treatment.